Drug of choice for central diabetes insipidus is :
1. Desmopressin
2. Leuprolide
3. Thiazide diuretics
4. Insulin

Correct answer: 1. Desmopressin